In diabetic pregnancy least common is:
1. Caudal regression syndrome
2. Anencephaly`
3. VSD
4. Spina bifida

Correct answer: 1. Caudal regression syndrome

Explanation: Caudal regression syndrome